Prostaglandin useful for the prevention of duodenal ulcer is :
1. Dinoprost
2. Misoprostol
3. Alprostadil
4. Carboprost

Correct answer: 2. Misoprostol